A person is able to abduct his arm, internally rotate it, place the back of hand on the lumbosacral joint, but is not able to lift it from back. What is the etiology
1. Subsacapularis tendon tear
2. Teres major tendon tear
3. Long head of biceps tendon tear
4. Acromioclavicular joint dislocation

Correct answer: 1. Subsacapularis tendon tear

Explanation: Refer Apleys Orthopaedics 9th p 345 The test described in the question is lift of test which is a test for subsacapularis muscle